"Corps ronds" are seen in which of the following disease:
1. Keratosis follicularis
2. Hailey-Hailey disease
3. Pemphigus foliaceus
4. Pemphigus vegetans

Correct answer: 1. Keratosis follicularis

Explanation: 'Corps ronds' are seen in Keratosis follicularis or Darier's disease. Corps ronds Characterised by keratotic papules over the seborrheic areas. Histopathology: Acantholysis and Dyskeratosis Rounded dyskeratotic cells with eosinophilic cytoplasm (called 'corps ronds') appear which give rise to small cells with shrunken cytoplasm (corps grains).